Recurrent obstruction, mass per rectum and diarrhea are seen in a child diagnosis:
1. Intussusception
2. Rectal prolapse
3. Internal hernia
4. Hemorrhoids

Correct answer: 1. Intussusception

Explanation: a. Intussusception(Ref: Nelson's 20/e p 1812-1814, Ghai 8/e p 287)Discussing about the options one by one,Option a.Recurrent intussusception is noted in 5-8%Advancing intestine can prolapse through the anus in intussusception and is distinguished from rectal prolapse by separation between the protruding intestine and the rectal wall, which does not exist in rectal proplaseOption b.Rectal prolapse usually occurs during defecation and is usually painless or produces mild discomfortOption c.There is no diarrhea in rectal prolapse, hernia and hemorrhoidsOption d.External hemorrhoids are associated with extreme pain & itchingInternal hemorrhoids (those located above the dentate line) manifest primarily with bleeding, prolapse and occasional incarceration